The reference protein is –
1. Fish
2. Egg
3. Rice
4. Lemon

Correct answer: 2. Egg

Explanation: Eggs are used in nutrition studies as a "reference protein" as eggs proteins are considered to be the best among food proteins because of their high biological value and digestibility.
So NPU is also high because it is the product of biological value and digestibility coefficient divided by 100.